When a small target is oscillated in front of a patient with binocular vision, patient sees movement of the object in elliptical orbit rather than to and fro path. What is this phenomenon known as?
1. Oppenheim phenomenon
2. Pulfrich phenomenon
3. Uthoff phenomenon
4. Paroxysmal convergence spasm phenomenon

Correct answer: 2. Pulfrich phenomenon

Explanation: This phenomenon is known as Pulfrich's phenomenon Pulfrich's phenomenon In this phenomenon the depth perception is impaired. This is usually seen in optic neuritis (eg : Multiple sclerosis). Oppenheim phenomenon: Dorsiflexion of great toe elicted by irritating downward of medial side of tibia. Uthoff phenomenon : Exacerbation of MS symptoms that is induced by exercise, a hot meal or hot bath. Paraoxysmal convergence spasm phenomenon: Rare but relatively typical symptoms of MS caused by abnormal excitation in demyelinated plaques.